Horizontal rotational tendency is seen in a mandibular class I RPD to the patients left is resisted by the denture bases by
1. The Lingual slope of the left alveolar ridge and the buccal slope of the right alveolar ridge
2. The lingual slope of the right alveolar ridge and buccal slope of the left alveolar ridge
3. By the lingual slope of the right and left alveolar ridge
4. By the buccal slope of the left and right alveolar ridge

Correct answer: 1. The Lingual slope of the left alveolar ridge and the buccal slope of the right alveolar ridge